Trypsin cleaves which amino acid?
1. Glycine
2. Glutamate
3. Arginine
4. Aspartate

Correct answer: 3. Arginine

Explanation: Trypsin cleaves carboxy terminal of basic amino acids. Eg: Arginine, Lysine